Acute compartmental syndrome is characterized by all EXCEPT
1. Pulseness
2. Paraesthesia
3. Pallor
4. Decrease intracompartment pressure

Correct answer: 4. Decrease intracompartment pressure

Explanation: i.e. (Decrease intracompartmental syndrome): (38-J.Maheshwari 3rd) (568-CDT-orthopedics 4th)* A pressure higher than 40 mm of water is indicative of compartment syndrome* Most common cause of compartment syndrome are fractures, soft tissue crush injuries, arterilal injuries either caused by localized hemorrhage or post ischemic swelling, drug overdose with prolonged limb compression and bum injuries.* Volkmann Ischemic contracture is the result of an acute compartment syndrome* Pain with passive muscle stretching (Stretch test) is the most sensitive in detecting compartment syndrome *** Treatment of choice is faciotomy* Recurrent or chronic compartment syndrome most commonly occurs in athletes